The parasympathetic nervous system has central connections with the brain through all of the following cranial nerves, except:
1. III
2. VII
3. X
4. V

Correct answer: 4. V

Explanation: The cranial nerves containing preganglionic general visceral efferent components of the parasympathetic system are the oculomotor, facial, glossopharyngeal, and vagus or III, VII, IX, and X, respectively.